Mahesh a 7-year old boy had itchy, excoriated papules on the forehead and the exposed parts of the arms and legs for 3 years. The disease was most severe in the rainy season and improved completely in winter. Most likely diagnosis is ?
1. Insect bite hypersensitivity
2. Contact dermatitis
3. Varicella zoster
4. Dermatitis herpetiformis

Correct answer: 1. Insect bite hypersensitivity

Explanation: Ans. is 'a' i.e., Insect bite hypersensitivity